Which of the following is NOT an oxidative type of drug metabolism ?
1. Deamination
2. N–oxidation
3. N–dealkylation
4. Glucuronidation

Correct answer: 4. Glucuronidation